Drug of choice in bacterial vaginosis is :
1. Metronidazole
2. Doxycycline
3. Clindamycin
4. Ciprofloxacin

Correct answer: 1. Metronidazole

Explanation: Metronidazole